End product of purine metabolism in non-primate mammals is
1. Uric acid
2. Ammonia
3. Urea
4. Allantoin

Correct answer: 4. Allantoin

Explanation: Allantoin is a major metabolic intermediate in most organisms including animals, plants, and bacteria and is produced as a degradation product of purine nucleobases by urate oxidase (or uricase) from uric acid